Which mesentric cyst whose removal entrails removals of part of gut -
1. Chylolymphatic cyst
2. Enterogenous cyst
3. Dermoid
4. All

Correct answer: 2. Enterogenous cyst